Choana is:
1. anterior nares
2. Posterior nares
3. Tonsils
4. Larynx

Correct answer: 2. Posterior nares

Explanation: Posterior nares Nasal cavity: Nasal fossae are two irregular cavities extending from the mucocutaneous junction with the nasal vestibule in front(anterior nares) to the junction with the nasopharynx behind(posterior nares or choanae) Ref.Dhingra 5/e,p 150.6/e,p 135.